Which of the following cause Teratogenecity ?
1. Vit. C
2. Vit. E
3. Vit. A
4. Vit. D

Correct answer: 3. Vit. A

Explanation: Ans. is 'c' i.e., Vitamin A o Vit A is teratogenic and can cause craniofacial CVS and CNS defects.